Mifepristone is not used in:
1. Threatened abortion
2. Fibroid
3. Ectopic pregnancy
4. Molar pregnancy

Correct answer: 1. Threatened abortion

Explanation: In case of threatened abortion ,patient presents with amenorrhoea followed by painless vaginal bleeding,but may sonetimes accompained by mild abdominal cramps and backache. Treatment modalities include hormobe therapy with natural progesterone is sometimes given on an empirical basis,anti D is given ,if patient is Rh negative,follow up with ultrasound is essential to detect progression to missed abortion. mefipristone is used in the other given options. Refet page 145 of Text book of obstetrics,sheila balakrishnan 2 nd edition.